Which of the following change is observed following neonatal thymectomy?
1. Decrease in size of germinal center
2. Increased antibody production by B cells
3. Increased bone marrow production of lymphocytes
4. Decrease in size of paracortical areas of lymph nodes

Correct answer: 4. Decrease in size of paracortical areas of lymph nodes

Explanation: T lymphocytes are selectively seeded into certain sites in the peripheral lymphatic tissues, such as white pulp of the spleen, around the central arterioles and in the paracortical areas of lymph nodes. These regions have been termed as thymus dependent regions as they are depleted after neonatal thymectomy. Secondary to thymectomy, there is a reduction in the size of paracortical regions of the lymph node and periarteriolar tissue in the spleen. In the lymph node the thymus dependent paracortical areas shows depletion of lymphocytes, while there is a loss of lymphoid cells around the small blood vessels in the spleen. Ref: Nutrition, Immunity and Infections By Prakash S. Shetty, Page 44 ; Histology By Ray C. Henrikson, Volume 518, Page 220